In chronic Hepatitis B infection, which one of the following markers is indicative of active viral replication and the corresponding risk of disease transmission?
1. Hbe antigen
2. HBs antigen
3. Anti - Hbe
4. Anti - HBs

Correct answer: 1. Hbe antigen

Explanation: HBeAg indicates active intrahepatic viral replication, reflecting high infectivity REF:
ANATHANARAYANAN MICROBIOLOGY NINTH EDITION PAGE.547